"Reward pathway" is associated with
1. Nucleus accumbens
2. Nucleus ambiguous
3. Dentate nucleus
4. Substantia nigra

Correct answer: 1. Nucleus accumbens

Explanation: (A) Nucleus accumbens# NUCLEUS ACCUMBENS has a significant role in the cognitive processing of motivation, pleasure, and reward and reinforcement learning, and hence has significant role in addiction.